The limiting Amino acid in wheat is -
1. Methionine
2. Tryptophan
3. Lysine
4. Isoleucine

Correct answer: 3. Lysine

Explanation: The limiting amino acid in wheat is lysine and threonine. REF. PARK'S TEXTBOOK OF PREVENTIVE AND SOCIAL MEDICAL 21ST EDITION. PAGE NO - 579)